A patient on Phenytoin therapy develops depression, for which he was prescribed tricyclic anti-Depressants. He now complains of lassitude and his Hb reading is 8gm/dl, the next step in the management of this patient is:
1. Chest X ray
2. MCV should be estimated
3. GGT should be estimated
4. None of the above

Correct answer: 2. MCV should be estimated

Explanation: phenytoin can induce folate deficient megaloblastic anemia that can be diagnozed by measuring MCV. REF: KD TRIPATHI 8TH ED.